Hemophilia manifest clinically as a rise in-
1. APTT
2. PT
3. CT
4. FDP

Correct answer: 1. APTT